Vismodegib is a new Anticancer drug approved for treatment of Basal Cell Carcinoma. It acts as an inhibitor of?
1. Hedgehog pathway
2. Poly ADP Ribose Polymerase
3. Cyclin Dependent Kinase-4
4. Her-2/neu

Correct answer: 1. Hedgehog pathway

Explanation: Vismodegib Hedgehog signalling pathway inhibitor. Used for treatment of - Adult metastatic or relapsed Basal Cell Carcinoma. Mechanism: Competitive inhibitor of SMO ("smoothens hedgehog") receptor in hedgehog signalling pathway. Common adverse effects include GI disorders (nausea,vomiting, diarrhea, constipation), muscle spasms, fatigue, hair loss, and dysgeusia (distortion of the sense of taste).Also can cause embryo-fetal death and severe birth defects and must not be used during pregnancy. Other hedgehog pathway inhibitors: Sonidegib , itraconazole , arsenic trioxide PARP inhibitors Olaparib , Rucaparib Used for Ovarian Carcinoma. CDK inhibitors Palbociclib Used for Breast Carcinoma. Her-2/neu inhibitor Trastuzumab Used for Breast Cancer